Skin immediately around the umbilicus is supplied by
1. Anterior cutaneous branches of thoracoabdominal nerve T10
2. Lateral cutaneous branches of thoracoabdominal nerve T10
3. Anterior cutaneous branches of thoracoabdominal nerve T12
4. Lateral cutaneous branches of thoracoabdominal nerve T12

Correct answer: 1. Anterior cutaneous branches of thoracoabdominal nerve T10

Explanation: The immediately around the umbilicus is supplied by the 10th thoracic spinal nerve. The umbilicus itself lies in the junction of the vertebrae L3 and L4. ref - BDC 6e vol2 pg198-200